Agent with shortest acting period -
1. Procaine
2. Lignocaine
3. Bupivacaine
4. Dibucaine

Correct answer: 1. Procaine

Explanation: Ans. is 'a' i.e., ProcaineShort durationLow potencyIntermediate duration (30-90 min)Intermediate potencyLong duration (> 120 min)High potencyo Chlorprocaine (shortest acting)o Procaineo Lignocaineo Mepivacaineo Prilocaineo Cocaineo Bupivacaineo Tetracaineo Etodicaineo Ropivacaineo Dibucaine (longest acting)